The complication which will not occur after PCNL surgery:
1. Bleeding
2. Urethral stricture
3. Organ injury
4. Sepsis

Correct answer: 2. Urethral stricture

Explanation: Urethral stricture will not occur after PCNL surgery Complications relating to PCNL include: Injury to the spleen, pleura and colon. Haemorrhage Sepsis. Extravasation due to rupture of the collecting system. Retained stone fragments. Open surgery to the kidney is sometimes more complicated after PCNL. Indications of PCNL Size of stone 2cm Distal obstruction UTI * Hard Stone (BHC-2) Lower calyceal stone